Constipation is caused by all of the following drugs except
1. Neostigmine
2. Atropine
3. Morphine
4. Fentanyl

Correct answer: 1. Neostigmine

Explanation: Ans. (A) Neostigmine(Ref: KDT 6th/e p101, 455)Neostigmine is an inhibitor of acetylcholinesterase and thus acts like a cholinergic drug. Therefore, it can produce diarrhea (not constipation).Atropine is an anti-cholinergic drug, thus can cause constipation.Morphine and fentanyl are opioids. These can also result in constipation.